Cochlear implant is indicated at the minimum age of:
1. 12 months
2. At birth
3. intrauterine
4. 24 months

Correct answer: 1. 12 months

Explanation: The rationale of early surgery in deaf / mutism is to give auditory stimuli to child so that the child develops speech.